Musculature of first pharyngeal arch is supplied by which cranial nerve?
1. V
2. VII
3. IX
4. X

Correct answer: 1. V

Explanation: Musculature of the first pharyngeal arch includes the muscles of mastication (temporalis, masseter, and pterygoids), anterior belly of the digastric, mylohyoid, tensor tympani, and tensor palatini. The nerve supply to the muscles of the first arch is provided by the mandibular branch of the trigeminal nerveRef: Langman's embryology 11th edition Chapter 16.